One of your patients after returning from abroad has been diagnosed to have meningococcal meningitis. What immediate chemoprophylaxis will you advice for the patients close contacts?
1. Rifampicin 600 mg OD x 3 days
2. Rifampicin 600 mg BD x 2 days
3. Rifampicin 300 mg BD x 3 days
4. Rifampicin 600 mg OD x 2 days

Correct answer: 2. Rifampicin 600 mg BD x 2 days

Explanation: The treatment recommended is Rifampicin 600 mg BD x 2 days for an adult or Minocycline 100 mg BD may also be used. Penicillin doesn't eradicate the carrier state. Sulphonamide resistant strain has now emerged so it is no longer reliable. Note: Vaccine is available against A, C, Y and W135 strains only. Ref: Park, Edition 21, Page 155